In which phase of respiration is measurement of intravascular pressure by a pulmonary artery catheter done?
1. At the end of expiration
2. At peak of inspiration
3. During mid inspiration
4. During mid expiration

Correct answer: 1. At the end of expiration

Explanation: To eliminate the effects of intrathoraic pressure on pulmonary capillary wedge pressure values, atrial pressure is measured at the end expiration during which there is no movement of air in and out of thorax. Ref: Critical Care Transport By American Academy of Orthopaedic Surgeon, Page 580